A lady having flexion at proximal interphalyngeal joint and hyperextension at distal interphalyngeal joint of index finger is called-
1. Boutonniere deformity
2. Swan neck deformity
3. Wind swept deformity
4. Z deformity

Correct answer: 1. Boutonniere deformity

Explanation: ref : maheswari 9th ed